Which of the following is an intraoral factor for the indication of RPD?
1. Distal extension situations
2. Long edentulous span
3. Cross arch stabilization
4. All of the above

Correct answer: 4. All of the above